Type of early childhood caries in which labio-lingual extension of caries occurs involving incisors and /or molars is:
1. Type1 ECC
2. Type2 ECC.
3. Type3 ECC.
4. None.

Correct answer: 2. Type2 ECC.